Which one of the following structures is not a part of the auditory pathway?
1. Medial lemniscus
2. Lateral lemniscus
3. Inferior colliculus
4. Medial geniculate body

Correct answer: 1. Medial lemniscus

Explanation: AUDITORY PATHWAY Second-order neuron of the dorsal column system (carrying general senses) runs in the medial lemniscus.